Anterior lenticonus may be associated with
1. Marfan's syndrome
2. Alport's syndrome
3. Homocystinuria
4. Lowe's syndrome

Correct answer: 2. Alport's syndrome

Explanation: Lenticonus: It refers to cone-shaped elevation of the anterior pole (lenticonus anterior) or posterior pole (lenticonus posterior) of the lens. Lenticonus anterior may occur in Alport's syndrome and lenticonus posterior in Lowe's syndrome. Slit-lamp examination confirms the diagnosis. Ref:- A K Khurana; pg num:-204